Anaemia in human is caused by which worm:
1. Round worm
2. Hook worm
3. Strongyloides
4. Tape worm

Correct answer: 2. Hook worm

Explanation: Hook worm